Conjugated hyperbilirubinemia in infancy seen in –a) Choledochal cystb) Extra hepatic biliary atresiac) Crigler – Najjar diseased) Gilbert disease
1. ac
2. a
3. ad
4. ab

Correct answer: 4. ab